Ergotism is due to toxic alkaloids produced by fungus
1. Claviceps purpurea
2. Trichophyton
3. Fusarium species
4. Absidia

Correct answer: 1. Claviceps purpurea